Most characteristic features of actual inflammation in-
1. Vasoconstriction
2. Vascular stasis
3. Vasodilation and increased vascular permeability
4. Margination of leukocytes

Correct answer: 3. Vasodilation and increased vascular permeability

Explanation: EFFECTS OF VARIOUS MEDIATORS
o Various effects of inflammatory mediators are
1. Increased vascular permeability Histamine, serotonin (5-hydroxytryptamine), anaphylatoxins (C3a, C4a, C5a), PAF, leukotrienes (LTC4, D4, E4), bradykinin.
□ PAF is the most potent one to increase permeability.
2. Chemoattractant C5a (most potent), IL-8, LTB4, PAF, bacterial products, Lymphokine, Kallikrein.
□ C5a is the most potent chemoattractant.
3. Vasodilatation Histamine, prostaglandins (PG D2, PGE2), prostacyclin (PGI2), serotonin. Nitric oxide, bradykinin.
4. Vasoconstriction Leukotrienes (LTC4, D4, E4), Thromboxane A2.
5. Bronchoconstriction Leukotrienes (LTC4, D4, E4), PFA, histamine, bradykinin.
□ Leukotrienes (LTC4, D4, E4) are the most potent bronchoconstrictors.
6. Pain Prostaglandins, bradykinin.
7. Fever (pyrogens) IL-1, TNF-αl IL-6, prostaglandins, interferon.